A patient is receiving insulin and acarbose for diabetes mellitus and developed hypoglycemia. Which of the following should be used for the treatment of hypoglycemia in this patient?
1. Sucrose
2. Galactose
3. Glucose
4. Starch

Correct answer: 3. Glucose

Explanation: Complex carbohydrates (polysaccharides and sucrose) are absorbed after conversion to simple carbohydrates by alpha-glucosidase. Inhibitors of this enzyme (acarbose and miglitol) decrease carbohydrate absorption from the GIT. Although these drugs themselves do not cause hypoglycemia blood sugar may decrease if these are combined with insulin or other drugs releasing insulin. In such a case of hypoglycemia, simple carbohydrates like glucose (not sucrose or other complex carbohydrates) should be used.